All of the following are small vessel vasculitis, Except:
1. Wegner's granulomatosis
2. Microscopic polyangitis
3. Polyarteritis Nodosa
4. Henoch-Schonelin purpura

Correct answer: 3. Polyarteritis Nodosa

Explanation: Answer is C (Polyoeritis Nodosa):Classic Polyarteritis nodosa does not involve capillaries and venules and is classified as a medium vessel vasculitis.Micorscopic polyangitis (Microscopic PAN),Wegener's granulomatosis and Henoch Scholein purpura are all classified as small vessel vasculitis.